All of the following drugs can be used for the prophylaxis of migraine except-
1. Propranolol
2. Sumatriptan
3. Amitriptyline
4. Flunarizine

Correct answer: 2. Sumatriptan

Explanation: K.D Trip athu essentials of medical pharmacology 7th edition Drugs for prophylaxis of migraine are beta blockers (propanalol),TCA(amitriptyline),calciumchanneblockers(verapamil,flunarizine),anti convulsant(topiramate) *Sumatriptan used as treatment for acute attacks of migraine .